Human development index includes A/E ?
1. Crude death rate
2. Education
3. Life expectancy at birth
4. GDP

Correct answer: 1. Crude death rate

Explanation: Ans. is 'a' i.e., Crude death rate Human development index (HDI) o HDI is a composite index combining indicators representing three dimensions - i) Longevity (life expectancy at birth) ii) Knowledge (Adult literacy rate and mean years of schooling, i.e. Gross enrolement ratio) iii) Income (real GDP per capita in purchasing power parity in US dollars) o The HDI is an index used to rank countries by level of human development. o According to HDI countries are divided - i) Developed countries (High HDI 0.8) USA, Canada, Norway Developing countries (medium HDI -4 0.5 - 0.79) -4 India iii) Underdeveloped countries (Low HDI -4 0.5) Seiera, Ethopia Following information has been added in 22"/e of Park o Components of human development index have changed. Now it includes expected years of schooling (instead of adult literacy rate) and GNI per capita (instead of GDP per capita).